Convergence insufficiency is associated with all of the following except:
1. Increase in accommodation
2. General debility
3. Refractive errors
4. Wide interpupillary distance

Correct answer: 1. Increase in accommodation

Explanation: Ans. Increase in accommodation